A known patient with renal stone disease developed pathological fractures along with abdominal pain and certain psychiatric symptoms. He should be investigated for
1. Polycystic kidney
2. Hyperparathyroidism
3. Renal tubular acidosis
4. Paget's disease of bone

Correct answer: 2. Hyperparathyroidism

Explanation: Hyperparathyroidism causessmooth-muscle atony, with upper and lower gastrointestinal symptoms such as nausea, heartburn and constipation. ... The digestive manifestations of parathyroid malfunction are often overlooked and serum calcium level must be included in the routine workup forabdominal symptoms. Ref ganong's review of medical physiology 25e